Low osmolarity ORS - false statmenf is -
1. Glucose concentration 75 mmol/liter
2. Sodium eoncentation 75 mmol.'! iter
3. Gsmolarity is 311 mosm/liter
4. Postassium is 20 mmol1'here

Correct answer: 3. Gsmolarity is 311 mosm/liter

Explanation: Ans. is 'c' i.e., Osmolarity is 311 mosm/iitero Osmolarity of cow osmolarity ORS is 245o Standard ORS is 311o Resomal is 300Composition Comparison ofReSoMaL, Standard WHO, and Reduced-Osmolarity WHO ORS SolutionsCompositionReSoMal (mmol/L)Standard ORS (mmol/L)Reduced osmolarity ORSGlucose12511175Sodium459075Potassium402020Chloride708065Citrate71010Magnesium3--Zinc03--Copper0.045--Osmolarity (mOsm/L)300311245